Nucleotide includes
1. Base + sugar
2. Base + phosphate group
3. Base + sugar + phosphate group
4. None

Correct answer: 3. Base + sugar + phosphate group

Explanation: Nucleotides are the phosphate esters of nucleosides. Base plus pentose sugar plus phosphoric acid is a nucleotide. REF : DM.VASUDEVAN.TEXTBOOK; SEVENTH EDITION ; PAGE NO : 561